In sickle cell trait, number of bands found in Hb-
1. 2
2. 1
3. 4
4. 5

Correct answer: 1. 2

Explanation: In hemoglobin electrophoresis, various types of hemoglobin move at varying speed.
In Sickle cell trait (heterozygous state), there are two types of hemoglobin : - HbS (40%) and HbA (60%). So, on electrophoresis, two different bands are produced.
In homozygous state, almost all hemoglobin is HbS. So, a single band is produced.

Laboratory findings of sickle cell anemia

Moderate to severe anemia.
Peripheral smear will show
Sickle cells
Target cells
Howell-Jolly bodies because of autosplenctomy.
A positive sickling test with a reducing substance like sodium metabisulfite.